Tolcapone is
1. Ototoxic
2. Nephrotoxic
3. Hepatotoxic
4. All of the above

Correct answer: 3. Hepatotoxic

Explanation: Tolcapone is a COMT inhibitor used in Parkinson's disease which acts both peripherally & centrally. But it is hepatotoxic.
Entacapone is a peripheral COMT inhibitor which is safe in hepatic insufficiency.